Trauma and injury severity score includes:-
1. GCS+BP +RR
2. S +ISS + age + Mechanism of injury
3. S +ISS + GCS
4. S +GCS + BP

Correct answer: 2. S +ISS + age + Mechanism of injury

Explanation: Trauma and injury severity score includes S +ISS + age + Mechanism of injury.